Prion structure contains primarily -
1. Protein
2. DNA
3. RNA
4. Both DNA 8c RNA

Correct answer: 1. Protein

Explanation: Ans. is 'a' i.e., Protein * Prions are infectious particle which contains protein only.* They do not have nucleic acid.Prions have been defined as -Small proteinaceous infectious particle which resist inactivation by procedures that modify nucleic acids.